Hirsutism is seen in all EXCEPT
1. Stein leventhal syndrome
2. Cushing syndrome
3. Testicular feminizing syndrome
4. Congenital adrenal hyperplasia

Correct answer: 3. Testicular feminizing syndrome

Explanation: Testicular feminizing syndrome REF: Harrison's Internal Medicine 17th ed Chapter 50 Hirsutism and Virilization Table 50-1 "Androgen insensitivity syndrome (AIS), formerly known as testicular feminization is characterized by decreased hair growth not hirsutism" CAUSES OF HIRSUTISM Gonadal hyperandrogenism Ovarian hyperandrogenism Polycystic ovarysyndrome (AKA- functional ovarian hyperandrogenism, ovarian hyperthecosis, sclerocystic ovary syndrome, and Stein-Leventhal syndrome) Ovarian steroidogenic blocks Syndromes of extreme insulin resistance Ovarian neoplasms Adrenal hyperandrogenism Premature adrenarche Functional adrenal hyperandrogenism Congenital adrenal hyperplasia (nonclassic and classic) Abnormal cortisol action/metabolism Adrenal neoplasms Other endocrine disorders Cushing's syndrome Hyperprolactinemia Acromegaly Peripheral androgen overproduction Obesity Idiopathic Pregnancy-related hyperandrogenism Hyperreactio luteinalis Thecoma of pregnancy Drugs Androgens Oral contraceptives containing androgenic progestins Minoxidil Phenytoin Diazoxide Cyclosporine True hermaphroditism